All of the following statements about chronic constrictive pericarditis are true except
1. Commonest cause in India is 'Idiopathic'
2. Kussmaul's sign is present
3. Ascitis is not in proportion to edema
4. Right ventricular End Diastolic pressure is raised

Correct answer: 1. Commonest cause in India is 'Idiopathic'

Explanation: Answer is A (Commonest cause in India is 'Idiopathic') The commonest cause of constrictive pericarditis in developing countries including India is tuberculosis Commonest cause of constrictive pericarditis in India is Tuberculosis Commonest cause of contrictive pericarditis in developing countries is tuberculosis. Commonest cause of constrictive pericarditis in North America is 'Idiopathic' Commonest cause of constrictive pericarditis Developed Nations Post viral pericarditis or Idiopathic pericarditis Previous cardiac surgery Chest Radiation therapy Developing Nations Tuberculosis Kussmaul's sign is positive in constrictive pericarditis Feature Tamponade Constrictive pericarditis Restrictive cardiomyopathy RVMI Kussmaul's sign Absent (Rare) Present Present Present Ascitis in constrictive pericarditis is out of proportion to peripheral Edema 'Ascitis often seems out of proportion to degree of peripheral edema (CMDT) Right ventricular End Diastolic pressure is raised in constrictive Pericarditis In constrictive pericarditis ventricular end diastolic volume and stroke volume are reduced and the end diastolic pressures in both ventricles are elevated'